Osteoradionecrosis is due to
1. Infection
2. Endarteritis of blood vessels
3. Sepsis
4. None of the above

Correct answer: 2. Endarteritis of blood vessels